The most essential fatty acid is
1. Linoleic acid
2. Linolenic acid
3. Arachidonic acid
4. Palmitic acid

Correct answer: 1. Linoleic acid

Explanation: Linoleic acid 

Linoleic acid is the most important essential fatty acid because it serves as a basis for the production of other EFA like arachidonic acid.